Acetylcholine esterase levels are highly specific for:
1. Omphalocele
2. Gastroschisis
3. Open spina bifida
4. Sacrococcygeal teratoma

Correct answer: 3. Open spina bifida

Explanation: Ans. c (Open spina bifida). (Ref. Textbook of obstetrics D C Dutta 6th ed. 112)# Pseudocholinesterase | in omphalocele & Gastroschisis# Actual cholinesterase | in open spina bifida.# | specific acetylcholinesterase (AChE) activity in amniotic fluid was consistently found to be associated withIntrauterine death and Neural tube defects (pregnancies with spina bifida).Causes of Increased AFP levels:# Wrong gestational age,# Open neural tube defects,# Multiple pregnancies,# IUD,# Anterior abdominal wall defects,# Renal anomalies,# Congenital nephrotic syndrome.Ach esterase has better diagnostic value than AFP in open neural tube defects.